Ischial bursitis is also known as -
1. Clergyman's knee
2. Housemaid's knee
3. Weaver's bottom
4. Student's elbow

Correct answer: 3. Weaver's bottom

Explanation: COMMON BURSITIS: *Ischial bursitis- Weaver's bottom *prepatellar bursitis- House maid's knee * Olecranon bursitis- Student's elbow * On lateral malleolus- Tailor's ankle *On great toe- Bunion. Reference- Maheshwari- 5th edn- pg 301.